Pubic symphysis is which type of joint ?
1. Synovial
2. Fibrous
3. Cartilaginous
4. None of the above

Correct answer: 3. Cartilaginous

Explanation: Ans. is 'c' i.e., Cartilaginous